True regarding erysipelas is all except
1. Acute spreading inflammation of outer dermis
2. Superficial Lymphatics involved
3. Rash is due to exotoxin of streptococcus pyogenes
4. Scrotum and hands are most common sites

Correct answer: 4. Scrotum and hands are most common sites

Explanation: Most common sites of erysipeals is orbit, Face and ear Lobule.